True about vertebral artery
1. Enter skull throught condylar canal
2. Branch of internal carotid artery
3. Branch of subclavian artery
4. Accompany sympathetic ganglion

Correct answer: 3. Branch of subclavian artery

Explanation: The vertebral artery is one of the two principal arteries which supply the brain In addition,it also supplies the spinal cord,the meninges and the suurounding mscles and bones It arises from the posterosuperior aspect of the first part of the subclavian artery It runs a long course and ends in the cranial cavity by supplying the brain The vertebral artery is divided in to four parts Ref BDC volume 3,sixth edition pg 162